Rifampicin acts by inhibiting :
1. DNA Dependent RNA polymerase
2. RNA dependent DNA polymerase
3. Mycolic acid inhibition
4. Mycolic acid incorporation defects

Correct answer: 1. DNA Dependent RNA polymerase